Methods of introducing gene in target cells are all except
1. Electroporation
2. Transfection
3. Site directed recombination
4. FISH

Correct answer: 4. FISH

Explanation: Fluorescence in situ hybridization(FISH) is a cytogenetic technique that uses fluorescent probes that bind to only those parts of the chromosome with a high degree of sequence complementarity.